Non- functional enzymes are all except:
1. Alkaline phosphatase
2. Acid phosphatase
3. Lipoprotein lipase
4. Gamma glutamyl transpeptidase

Correct answer: 3. Lipoprotein lipase

Explanation: Lipopein lipase is a functional enzyme (i.e. has physiological role) that hydrolyze lipids in lipoproteins (chylomicrons & VLDL) into free fatty acids and glycerol molecule.